Allosteric enzymes show the following characteristics, except
1. Co-operative binding of substrate
2. Obey Sigmoid saturation kinetics
3. Effector site overlap with the active site
4. Active site and effector site need not be located on the same subunit

Correct answer: 3. Effector site overlap with the active site

Explanation: In many allosteric enzymes the substrate binding site and the modulator binding site(s) are on different subunits, the catalytic (C) and regulatory (R) subunits, respectively. Co-operative binding of substrate.Obey Sigmoid saturation kinetics REF ; Katzung 12th ed.